DASH stands for -
1. Dietary approach to stop hypertension
2. Dietary approach to stop heamarrhage
3. Direct approach to surgery of hernia
4. Dietary approach to stop hemolysis

Correct answer: 1. Dietary approach to stop hypertension

Explanation: Ans. is 'a' i.e., Dietary approach to stop hypertension * DASH stands for dietary approaches to stop hypertension.* DASH eating plan recommends to consume a diet rich in fruits, vegetables and law-fat dairy products with a reduced content of saturated and total fat.